Targeted intervention for HIV is done for all except-
1. Commercial sex worker
2. Migrant laborers
3. Street children
4. Industrial worker

Correct answer: 4. Industrial worker